All are TRUE about paralytic squint, EXCEPT -
1. Head tilt
2. Lateral deviation
3. Diplopia
4. Amblyopia

Correct answer: 4. Amblyopia

Explanation: Paralytic squint usually occurs in adults when visual acuity has already been developed. Therefore amblyopia does not occur usually and visual acuity is normal.